Tic Douloureux is facial pain traveling through which of the following nerves?
1. Facial
2. Hypoglossal
3. Trigeminal
4. Vestibulocochlear

Correct answer: 3. Trigeminal

Explanation: Answer is C (Trigeminal nerve): Tic Douloureux refers to the association of Hemifacial spasm with Trigeminal Neuralgia (Trigeminal nerve) Trigeminal neuralgia (TN, or TGN), also known as Prosopalgia, Fothergill's disease or formerly 'Suicide disease' is a neuropathic disorder characterized by episodes of intense pain in the face, originating from the trigeminal nerve. Pain is typically limited to the distribution of one or more divisions of the trigeminal nerve The pain often evokes spasm of the muscle of the face on the affected side. The clinical association between Trigeminal Neuralgia and hemifacial spasm is called Tic Douloureux.